Venturimeter is used to measure
1. Air velocity
2. Size of suspended particles in the air
3. Bed resistance in a slow sand filter
4. SO2 content in the atmosphere

Correct answer: 3. Bed resistance in a slow sand filter